A negative nitrogen balance is observed
1. During normal pregnancy
2. during convalescence
3. In malnutrition
4. During normal child growth

Correct answer: 3. In malnutrition